According to Biomedical waste rule 2016, Incineration or deep burial is done for which bag
1. White
2. Red
3. Yellow
4. Blue

Correct answer: 3. Yellow